Which of the following transmits mandibular nerve?
1. Foramen lacerum
2. Foramen magnum
3. Foramen ovale
4. Foramen spinosum

Correct answer: 3. Foramen ovale

Explanation: Key concept:
The foramen ovale transmits the mandibular nerve, the lesser petrosal nerve, the accessory meningeal  artery, an emissary vein connecting the cavernous sinus with the pterygoid plexus of veins, and  occasionally the anterior trunk of the middle meningeal vein.